Post coital test is used to assess :
1. Cervical factor
2. Vagical factor
3. Uterine factor
4. Nose

Correct answer: 1. Cervical factor

Explanation: Cervical factor